Role of liver in vitamin D metabolism
1. Catalyzes rate limiting steb
2. 1-hydroxylation
3. 25-hydroxylation
4. 24-hydroxylation

Correct answer: 3. 25-hydroxylation

Explanation: Found in the liver, this enzyme is a microsomal vitamin D hydroxylase that converts vitamin D into 25-hydroxyvitamin D (calcidiol), which is the major circulatory form of the vitamin.